Cognisable offence comes under which section of Cr.P.C. -
1. 2C
2. 2B
3. IA
4. None

Correct answer: 1. 2C

Explanation: Cognisable offence: Section 2C Cr.P.C.- it is an offence in which a police officer can arrest a person without warrant from the magistrate. e.g., murder, ragging.